. What is the Neutrophil count for moderate neutropenia ?
1. <500/mm3
2. 500 - 1000/mm3
3. >1000/mm3
4. 100/mm3

Correct answer: 2. 500 - 1000/mm3